Facial nerve lies with which nerve in internal auditory meatus ?
1. Trigeminal nerve
2. Abducent nerve
3. Vestibulocochlear nerve
4. Hypoglossal nerve

Correct answer: 3. Vestibulocochlear nerve

Explanation: Ans. is.c'i.e., vestibulocochlear nerve(Ref: BDc Sh/e vol. 3 p. 15-17)